Endemic Disease means that a disease:
1. Occurs clearly in excess of normal expectancy
2. Is constantly present in a given population group
3. Exhibits seasonal pattern
4. Is prevalent among animals

Correct answer: 2. Is constantly present in a given population group